International Red cross is in
1. Geneva
2. New York
3. New Delhi
4. Rome

Correct answer: 1. Geneva

Explanation: Health Agencies


Headquarters






WHO
FAO
UNICEF
ILO


Geneva, Switzerland
Rome, Italy
New York, USA
Geneva, Switzerland